In Renal injury following blunt injury to abdomen which is not done -
1. Prophylactic nephrectomy
2. Diagnostic peritoneal lavage
3. IVP
4. Exploratory laparotomy

Correct answer: 1. Prophylactic nephrectomy